Left axis deviation is seen in which of the following cyanotic congenital heart disease
1. TAPVC
2. TGA
3. TA
4. TOF

Correct answer: 3. TA

Explanation: Left axis deviation  seen in tricuspid atresia (TA), since it is the  only cyanotic congenital heart disease with Left ventricle dominance